Sinus venosus receives blood from all except ?
1. Vitelline vein
2. Umbilical vein
3. Common cardinal vein
4. Subcardinal vein

Correct answer: 4. Subcardinal vein

Explanation: Ans. is 'd' i.e., Subcardinal vein Sinus venosus : It is the caudal most part of tubular heart. At its lower end it presents right and left horns. Each horn receives blood from following three veins : Vitelline vein from yolk sac. Right vitelline vein forms terminal part of interior vena cava. Umbilical vein from placenta. Common cardinal vein from body wall. Right common cardinal vein forms superior vena cava.